Depression is not caused by:
1. Clonazepam
2. methyldopa
3. Metformin
4. Corticosteroid

Correct answer: 3. Metformin

Explanation: Drugs that cause depression as side effects- Antihypertensives like reserpine,methyldopa,beta blockers Steroids(OCPs and corticosteroids)- Progesterone> estrogen Interferons Barbiturates BZD